Which of the following is true about the left phrenic nerve?
1. Arise from dorsal rami of C2, C3 and C4
2. Descends in the left pleural space
3. Supplies mediastinal and diaphragmatic pleura on left side and diaphragmatic peritoneum
4. Passes through the vena caval opening in the diaphhragm

Correct answer: 3. Supplies mediastinal and diaphragmatic pleura on left side and diaphragmatic peritoneum

Explanation: The left phrenic nerve supplies sensory fibers to the medistinal and diaphragmatic pleura on the left side and the diaphragmatic peritoneum . The phrenic nerve is a mixed nerve derived mostly from the C4 ramus and also receives contributions fromm the C3 and C5 ventral rami. (Option A) . It is formed at the lateral border of scalenus anterior. It descends anterior to the pulmonary hilum and lies between mediastinum pleura and fibrous pericardium (Option B). The right phrenic nerve passes through the central tendon of diaphragm and the left phrenic nerve passes through the muscular part of diaphragm just anterior to the central tendon (Option D). It suppplies Motor fibers to the muscular diaphragm. Sensory fibers to the mediastinal pleura, fibrous and serous pericardium, and diaphragmatic peritoneum. The right phrenic nerve supplies the right crus of the diaphragm that lies to the right of the espohagus and the left phrenic nerve supplies the left crus and the part of the right crus that lies to the left of the esophagus. Ref: Gray's Anatomy 41st edition Pgno: 973